Dose of i.v adrenaline in term infant during neonatal resuscitation is
1. 0.1 - 0.3 ml/kg in 1 : 1000
2. 0.3-0.5 ml/kg in 1:1000
3. 0.1-0.3 ml/kg in 1:10,000
4. 0.3-0.5 ml/kg in 1:10,000

Correct answer: 3. 0.1-0.3 ml/kg in 1:10,000

Explanation: When HR is <60/min even after 30sec of effective Positive Pressure Ventilation and chest compressions, adrenaline is given i.v through umbilical vein at a dose of 0.1 - 0.3 ml/kg in 1:10,000 concentration. Reference : page 132 Ghai Essential Pediatrics 8th edition